Which of the following condition is associated with the detection of clue cells on microscopy?
1. Candidial vaginosis
2. Bacterial vaginosis
3. Trichomoniasis
4. Chlamydial infection

Correct answer: 2. Bacterial vaginosis

Explanation: Clue cells are squamous epithelial cells with a fine granular epithelium and has indistinct border due to coccobacilli. They are the most reliable indicator of bacterial vaginosis. Clue cells are seen in more than 95% of patients with bacterial vaginosis. Amsel criteria for diagnosis of bacterial vaginosis: Presence of objective signs of increased white homogeneous vaginal discharge Vaginal discharge with pH of >4.5 Liberation of a distinct fishy odor due to trimethylamine, immediately after vaginal secretions are mixed with a 10% solution of KOH Microscopic demonstration of clue cells. Ref: Marrazzo J.M., Holmes K.K. (2012). Chapter 130. Sexually Transmitted Infections: Overview and Clinical Approach. In D.L. Longo, A.S. Fauci, D.L. Kasper, S.L. Hauser, J.L. Jameson, J. Loscalzo (Eds), Harrison's Principles of Internal Medicine, 18e.